Which type of thyroid carcinoma has the best prognosis
1. Papillary Ca
2. Anaplastic Ca
3. Follicular Ca
4. Medullary Ca

Correct answer: 1. Papillary Ca

Explanation: "In general pts. with PTC (Papillary Thyroid Carcinoma) have an excellent prognosis with a greater than 95% 10-year survival rate." Papillary carcinoma of thyroid is a slow growing tumor, usually not associated with blood borne metastasis, and hence has a better prognosis than the other varieties. Follicular, Medullary and Anaplastic carcinomas are all associated with a greater incidence of blood borne metastasis and a poorer prognosis. Ref : Schwartz Surgery 9/e p1362